Which of the following is TRUE about leiomyosarcoma of breast?
1. Well encapsulated
2. Radical mastectomy is treatment of choice
3. Metastasize by lymphatic channel
4. Axillary lymph node dissection is mandatory

Correct answer: 1. Well encapsulated

Explanation: Leiomyosarcoma: These primary soft tissue sarcomas of the breast represent less than 1% of all breasts malignancies. It includes malignant fibrous histiocytoma and angiosarcoma. Leiomyosarcoma are malignant tumors composed of cells showing smooth features. These tumors behave as sarcoma behave elsewhere in the body. They are locally aggressive tumors & when they metastasize, it is through a hematogenous route. Palpable axillary lymphadenitis is uncommon and when encountered usually represents reactive lymph nodes univolved by metastatic disease. A clinically negative axilla in presence of large tumors may be indicative of breast sarcoma. Tumor is well circumscribed or encapsulated. Simple mastectomy is gold standard of treatment. Axillary lymph node dissection is not indicated. Postoperative radiation may be used in patient undergoing mastectomy because chest wall recurrence are observed. Ref: Breast Carcinoma By Roses, 2/e, Page 707-08